Drug which doesn't inhibit nucleic acid synthesis?
1. Rifampicin
2. Fluoroquinolone
3. Nitrofurantoin
4. Linezolid

Correct answer: 4. Linezolid

Explanation: Ans. D. Linezolida. Linezolid - Inhibits protein synthesis via binding to 50s subunit on ribosomes.b. Inhibition of Nucleic Acid Synthesis:c. Rifamycins- Inhibit bacterial RNA polymerased. Fluoroquinolones- Inhibit enzymes (DNA Gyrase) that are required for bacterial DNA synthesise. Nitrofurantoin- Generates metabolites that are incorporated into DNA strands, making more prone to breakage